Which of the following statements about cerebellar astrocytomas in pediatric age group is false
1. These are usually low grade tumors
2. These tumors have a good prognosis
3. These are more commonly seen in the 1st and 2nd decades
4. These tumors are more common in females

Correct answer: 4. These tumors are more common in females

Explanation: Cerebellar astrocytoma is a low grade tumours and have good prognosis and is most commonly seen in first and second decades . These tumours are most commonly seen in males. Reference: GHAI Essential pediatrics, 8th edition.